A 40 year old lady with breast cancer has undergone MRM and is on Tamoxifen for 1 year. She now has presents with bleeding per vaginum 4-5 times. What is the probable cause:
1. Bleeding disorder
2. Endometrial cancer
3. Ovarian cancer
4. Cervical cancer

Correct answer: 2. Endometrial cancer

Explanation: Ans. (b) Endometrial cancerRef: KDT 6th ed. / 304-5* Tamoxifen is selective estrogen receptor modulator (SERM).* It is having agonistic activity at uterine endometrium.Action of TamoxifenAgonistic activityAntagonistic activityUterus: causes proliferation of endometrium - can cause vaginal bleeding as seen in the caseBreast CABone: decrease resorptionBlood vesselsLipid profile: decrease LDL without affecting HDL ->> decrease risk of CAD